Proprioception is mediated by:
1. Lateral spinothalamic tract
2. Ventral spinothalamic tract
3. Dorsal column
4. Corticospinal tract

Correct answer: 3. Dorsal column

Explanation: (C) Dorsal column # Dorsal columns carry most of the proprioceptive information to the cerebellum (but some passes via. medial lemnisci and tha amic radiations to the cortex).> Diseases of dorsal columns produce sensory ataxia because of the interruption of proprioceptive input to the cerebellum.